Which of the following is most dependent on vasovagal reflex?
1. Chewing
2. Swallowing
3. Receptive relaxation
4. Segmentation of intestine

Correct answer: 3. Receptive relaxation

Explanation: Ans. c (Receptive relaxation). (Ref. Ganong, Physiology, 21st ed., 498)Receptive Relaxation# When food enters stomach, fundus and upper part of the body relax and accommodate food with little if any increase in pressure known as receptive relaxation.# It is vagally mediated and triggered by pharyngeal and esophageal movement.Segmentation# Segmentation are ring-like contractions of small intestine that appear at regular interval and then disappear and move chyme to and fro and increase exposure to mucosal surface.# They are initiated by focal increase in ca+ influx.Swallowing# Swallowing is a reflex response triggered by afferent impulse in 5th, 9th and 10th cranial nerves.# These impulses are integrated in NTS and nucleus ambigus.